Steroid receptor superfamily is present in :
1. Vitamin D3
2. Insulin
3. Glucagon
4. All

Correct answer: 1. Vitamin D3

Explanation: A i.e. Vitamin D3